X-ray feature of pyloric stenosis is:
1. Single bubble appearance
2. Double bubble appearance
3. Triple bubble appearance
4. Multiple bubble appearance

Correct answer: 1. Single bubble appearance

Explanation: Ans. A i.e. Single bubble appearance